Which of the following nerve involved in-opening inlet of larynx -
1. Recurrent laryngeal nerve
2. External laryngeal nerve
3. Internal laryngeal nerve
4. Superficial laryngeal nerve

Correct answer: 1. Recurrent laryngeal nerve

Explanation: Thyroepiglottic (opener of laryngeal inlet) is supplied by recurrent laryngeal nerve.